Fig of 3 signs is seen in?
1. Mitral Stenosis
2. Coarctation of Aorta
3. Transposition of Great Arteries
4. Aortic Stenosis

Correct answer: 2. Coarctation of Aorta

Explanation: Coarctation of Aorta - Juxta-ductal part of AORTA is mostly involved Medial wall of AORTA is usually spared Clinical presentation - Hypertension Milder disease - Intermittent claudication of lower limbs Severe disease - Heart failure in neonate with B/L feeble or impalpable femoral pulses CXR - Figure of 3 sign Notching of inferior margin of 3rd - 9th ribs , usually seen in >3 years age Contrast Esophagogram and Barium swallow - E sign Treatment - Balloon angioplasty Anti-hypertensives for HTN